Splenic vein thrombosis is best treated by ?
1. Splenectomy
2. Porto-caval shunt
3. Spleno-renal shunt
4. Mesenterico-caval shunt

Correct answer: 1. Splenectomy

Explanation: Ans. is 'a' i.e., Splenectomy